Nasopharyngeal carcinoma presents as -a) Epistaxisb) Mass in neckc) Headached) Vertigo
1. ac
2. a
3. ad
4. ab

Correct answer: 4. ab